In type I hypersensitivity, the mediators is
1. IgE
2. IgG
3. IgM
4. IgC

Correct answer: 1. IgE

Explanation: (IgE) (161-AN 7th) (202-206-CP)Types of hypersensitivity reactions and their featuresType of reactionClinical syndromeMediatorsType I: IgE1. Anaphylaxis2. Atopy P. K. reactionIgE, histamine and other pharmacological agentsType II: Cytolytic and CytotoxicAntibody-mediated damage- thrombocytopenia-agranulocytosis, hemolytic anemiaIgG: IgM, CType III: Immune complex1. Arthrus reaction2. Serum sickness3. Glomerulonephritis, rheumatic fever and rheumatoid arthritisIgG: IgM C Leucocytes.Type IV: Delayed hypersensitivity1. Tuberculin test - Lepromin test, Frei-test, Histoplasmin and toxoplasmin tests viral infections such as herpes simplex and mumps2. Contact dermatitis - drugs, metal (Nickle, chromium), chemicals3. Granulomatous type TB, Leprosy, Schistosomiasis, sarcoidosis and Crohn's diseaseT. cells, Lymphokines, macrophages